At rest, blood flow is maximum in:
1. Heart
2. Kidney
3. Brain
4. Skin

Correct answer: 2. Kidney

Explanation: Ans: B i.e. KidneyAt rest, the distribution of cardiac output (5 L/ min) is roughly about follows:Heart has 5%Kidney has 25%Brain has 14%Skin has 7%